Select the wrong statement with respect to cleft lip and palate
1. Have possible genetic and environmental predisposition
2. Frequency varies among population groups
3. Cleft lip with palate is the most common combination
4. Antenatal diagosis is not possible

Correct answer: 4. Antenatal diagosis is not possible

Explanation: The incidence of cleft lip and palate is 1:600 live births and of isolated cleft palate is 1:1000 live births. The incidence increases in Oriental groups (1:500) and decreases in the black population (1:2000). The highest incidence reported for cleft lip and palate occurs in the Indian tribes of Montana, USA (1:276). Although cleft lip and palate is an extremely diverse and variable congenital abnormality, several distinct sub-groups exist, namely cleft lip with/without cleft palate (CL/P), cleft palate (CP) alone and submucous cleft palate (SMCP). The typical distribution of cleft types is: *cleft lip alone: 15%; *cleft lip and palate: 45%; *isolated cleft palate: 40%. Cleft lip/palate predominates in males whereas cleft palate alone appears to be more common in females. In unilateral cleft lip the deformity affects the left side in 60% of cases. AETIOLOGY Contemporary opinion on the aetiology of cleft lip and palate is that cleft lip and palate and isolated cleft palate have a genetic predisposition and a contributory environmental component. A family history of cleft lip and palate in which the first-degree *The key features of the perioperative care of the child with cleft lip and palate *The associated complications of cleft lip and palate and their management relative is affected increases the risk to 1:25 live births. Genetic influence is more significant in cleft lip/palate than cleft palate alone, in which environmental factors exert a greater influence. Environmental factors implicated in clefting include maternal epilepsy and drugs, e.g. steroids, diazepam and phenytoin. The role of antenatal folic acid supplements in preventing cleft lip and palate remains equivocal. Although most clefts of the lip and palate occur as an isolated deformity, Pierre Robin sequence remains the most common syndrome. This syndrome comprises isolated cleft palate, retrognathia and a posteriorly displaced tongue (glossoptosis), which is associated with early respiratory and feeding difficulties. Isolated cleft palate is more commonly associated with a syndrome than cleft lip/palate and cleft lip alone. Over 150 syndromes are associated with cleft lip and palate, although Stickler's (ophthalmic and musculoskeletal abnormalities), Shprintzen's (cardiac anomalies), Down's, Apert's and TreacherCollins' syndromes are most frequently encountered. Antenatal diagnosis is possible after 18 weeks, Bailey & Love,25th,657.